Mg++ is used in vaccine as
1. Stabilizer
2. Preservative
3. Adjuvant
4. Vehicle

Correct answer: 1. Stabilizer